Following are radiological evidence of Achalasia cardia except
1. Smooth narrowing of esophagus
2. Dilated tortuous esophagus
3. Absence of air in the fundus
4. Exaggerated peristalsis

Correct answer: 4. Exaggerated peristalsis